All are diagnostic criteria for irritable bowel syndrome except:
1. Pain improves with defection
2. Nocturnal episodes of colicky pain
3. Onset associated with change in frequency of stool
4. Onset associated with change in appearance / form of stool

Correct answer: 2. Nocturnal episodes of colicky pain

Explanation: The diagnostic criteria for irritable bowel syndrome is - Recurrent abdominal pain or discomfort for at least 3 days per month associated with > 2 or more of the following features - Pain improvement with defecation Onset with change in form / appearance of stool Onset with change in frequency of stool Nocturnal diarrhea or pain is not a feature of irritable bowel syndrome and is seen with Diabetic neuropathy. Bleeding is also not a feature. ROME CRITERIA FOR DIAGNOSIS OF IBS